Macula is stimulated by ?
1. Gravity
2. Head position change
3. Linear acceleration
4. All of the above

Correct answer: 4. All of the above

Explanation: Ans. is 'd' i.e., All of the above Vestibular apparatus (Peripheral part of vestibular system) The vestibular apparatus within the inner ear detects head motion and position and transduces this information to a neural signal. The vestibular apparatus has following parts :-